'Inflation of the lungs will induce further distension'; this is referred to as:
1. Hering-Breuer inflation reflex
2. Hering-Breuer deflation reflex
3. J-reflex
4. Head's paradoxical reflex

Correct answer: 4. Head's paradoxical reflex

Explanation: Head's paradoxical reflex is an example of positive feedback; distension --> further distension --> furthermore distension. This occurs at birth, when the lungs are in a collapsed state and they are beginning to function thereafter. J-reflex:- Stimulation of J-receptors (pulmonary edema/congestion) --> apnea followed by rapid shallow breathing, bradycardia, hypotension.